Cracked nipple may be-
1. Due to syphilitic chancre
2. Cause of retention cyst
3. Pagets disease of nipple
4. Forerunner of breast abscess

Correct answer: 4. Forerunner of breast abscess

Explanation: • This may occur during lactation and be the forerunner of acute infective mastitis.
• If the nipple becomes cracked during lactation, it should be rested for 24–48 hours and the breast should be emptied with a breast pump.
• Feeding should be resumed as soon as possible.